Tricyclic antidepressants cause all except:
1. Coma
2. Prolongation of QRS complexes
3. Myoclonic jerks
4. Metabolic alkalosis

Correct answer: 4. Metabolic alkalosis

Explanation: Ans. is 'd' metabolic Alkalosis * In acute poisoning depression occurs which leads to acidosis.